All are true about incidence, except-
1. Numerator includes new cases
2. Denominator includes population at risk
3. Does not include population at risk
4. It is a rate

Correct answer: 3. Does not include population at risk

Explanation: .
incidence rate is defin ed as the number of new case occurring in a defined population during a specified period of time.it will be seen from the above definition that incidence rate refers only to new cases,and during a given period usually assumed as one year.it also refers in a specified population or ";population at risk"unless other denominators are chosen.

ref:park's textbook of preventive and social medicine,22 nd edition,pg no 58